Succinylcholine is used with caution in all except
1. Mythenia gravis
2. Burns
3. Crush injury
4. Tachycardia

Correct answer: 4. Tachycardia

Explanation: Sch is the only muscle relaxant that causes vagal stimulation and causes bradycardia (attenuates tachycardia and hypertension ) In burns, crush injury and myasthenia gravis can cause severe hyperkalemia. Ref: Morgan 4th/e p 214